Most common cause of congenital adrenal hyperplasia:
1. 21-Hydroxylase deficiency
2. 11-Hydroxylase deficiency
3. 17-a-Hydroxylase deficiency
4. 3-P-Hydroxy dehydrogenase deficiency

Correct answer: 1. 21-Hydroxylase deficiency

Explanation: Ans. 21-Hydroxylase deficiency